Lymphatics from the testes drains into which of the following group of lymph node?
1. Internal iliac LN
2. Para aortic LN
3. Superior inguinal LN
4. Deep inguinal LN

Correct answer: 2. Para aortic LN

Explanation: Lymphatics from the testes drain into the pre aortic and para aortic nodes at the level of L2.Arterial supply of testis: By the testicular artery a branch of the abdominal aorta.Venous drainage: Veins emerging from the testis forma a pampiniform plexus. It surrounds the testicular artery and the vas deferens. These veins condense to form a testicular vein. On the right side testicular vein drains into IVC and on the left side it drains into renal vein. Nerve supply: Testes is supplied by sympathetic fibers arising from T10 spinal segment.Ref: TEXTBOOK of ANATOMY and PHYSIOLOGY for NURSES ASHALATA By Jaypee Brothers, page 243.